True about the orphan drug is:
1. Developed for orphans
2. Drugs used very rarely
3. Drugs used for rare diseases
4. Rare drug for common diseases

Correct answer: 3. Drugs used for rare diseases

Explanation: Orphan Drugs are drugs or biological products for diagnosis/treatment/prevention of a rare disease or condition, or a more common disease (endemic only in resource-poor countries) for which there is no reasonable expectation that the cost of developing and marketing it will be recovered from the sales of that drug.
The list includes sodium nitrite, fomepizole, liposomal amphotericin B, ancrod, rifabutin, succimer, somatropin, digoxin immune Fab (digoxin antibody), liothyronine (T3) and many more.